A child is exclusively fed on cow's milk. the  deficiency seen in
1. Iron
2. Vitamin A
3. Thiamine
4. Riboflavin

Correct answer: 1. Iron

Explanation: Cow's milk is a poor source of vitamin C and Iron.